Passavant ridge is seen in?
1. Oropharynx
2. Nasopharynx
3. Laryngopharynx
4. Lateral nasal wall

Correct answer: 2. Nasopharynx

Explanation: Nasopharyngeal Isthmus: Fibres of palatopharyngeus muscle (arising from palatine aponeurosis) +upper fibres of superior constrictor muscle form incomplete raised ring at posterior & lateral pharyngeal wall known as = Passavant ridge.